Impairment of moral and social sense, lack of initiation and difficulty in planning with flight of ideas is a feature of lesion in the
1. Frontal lobe
2. Parietal lobe
3. Temporal lobe
4. Occipital lobe

Correct answer: 1. Frontal lobe

Explanation: (Frontal lobe) (804 -K.Sth)FRONTAL LOBE SYNDROME(Injury or ablation of prefrontal cortex)TEMPORAL LOBE SYNDROME or Kluver Bucy Syndrome1. Emotional instability: There is lack of restraint leading to hostility, aggressiveness and restlessness2. Lack of concentration and lack of fixing attention occur3. There is lack of initiation and difficulty in planning4. Impairment of recent memory occurs.1. Aphasia: Disturbance in speech2. Auditory disturbances - frequent attacks of tinnitus, auditory hallucinations with sounds like buzzing, ringing or humming3. Disturbance in smell and taste sensation4. Dreamy states - feeling of unreality5. Visual hallucination associated with hemianopiaHowever, the memory of remote events is not lost5. Loss of moral and social sense is common and there is loss of love for family and friends6. There is failure to realize the seriousness of the condition the subject has the sense of well - being and also has flight of ideas7. Functional abnormalities(i) Hyperphagia(ii) Loss of control over sphincter of the- urinary bladder or rectum(iii) Disturbances in orientation(iv) Slight tremorPARIETAL LOBE FUNCTIONS1. Somesthetic area 1 is responsible for perception and integration of cutaneous and kinesthetic sensation2. Movements of head and eyeballs3. Discriminative functions(i) Spatial recognition: Tactile localization, two point discrimination and recognition of position and passive movements of limbs(ii) Recognition of intensity of different stimuli(iii) Recognition of similarities and differences between the stimuliOCCIPITAL LOBE FUNCTONS (Visual cortex)1. Primary visual area - 17 is concerned with perception of visual impulses2. Visual association area - 18 - concerned with interpretation of visual impulses3. Occipital eye field - 19 concerned with movement of eyes